A man presents with chest pain. ECG shows ST-segment depression in leads V1-V4. Which of the following should not be given?
1. Beta blocker
2. Thrombolytic
3. Morphine
4. Aspirin

Correct answer: 2. Thrombolytic

Explanation: Thrombolytics like streptokinase, alteplase, reteplase are beneficial to patients with ST-elevated MI Max. benefit will be seen if they were given with 6 hours of the onset of MI Their use in ST depressed MI is contraindicated